Regarding negative pressure wound therapy, false statement is:
1. Necrotic tissue with eschar in wound is a contraindication to its use
2. Pressure is 30 mmHg
3. Gives good granulation tissue
4. Used intermittently or continuously

Correct answer: 2. Pressure is 30 mmHg

Explanation: Negative pressure wound therapy: Enhances wound healing by the removal of fluid collecting in it. Suction pressure -75 to -125 mmHg Gives good granulation tissue Can be used intermittently or continuously Contraindications: Malignancy, Untreated osteomyelitis, Necrotic eschar